Drugs causing afterload reduction is:
1. Digoxin
2. Captopril
3. Dobutamine
4. Frusemide

Correct answer: 2. Captopril